Bullous impetigo is caused by
1. Streptococcus
2. Staphylococcus
3. Pseudomonas
4. Y. Pestis

Correct answer: 2. Staphylococcus

Explanation: Bulbous impetigo causative organism: staph aureus age: most common in neonates and infants bulle : thick walled and lasts for 2-3 days extend peripherally with central clearing iadvl textbook of dermatology page 228